All are true regarding chloroquine, except ?
1. Acts only on exo erythrocytic cycle
2. Acts on DNA and RNA of parasite
3. Causes pigmentation of nail and mucosa
4. Infected RBC has more drug

Correct answer: 1. Acts only on exo erythrocytic cycle

Explanation: Ans. is 'a' i.e., Acts only on exoerythrocytic cycle o It is a rabidly acting erythrocytic Schizontacide against all species of plasmodium. o It has no effect on pre and exoerythric stage.